Subcapsular sinuses are seen in
1. Spleen
2. Thymus
3. Thyroid
4. Lymph node

Correct answer: 4. Lymph node

Explanation: Subcapsular sinuses are seen in lymph node INDERBIR SINGH'S TEXTBOOK OF HUMAN HISTOLOGY SEVENTH EDITION PAGE NO133